Ebola virus belongs to-
1. Picornaviridae
2. Togaviridae
3. Flaviviridae
4. Filoviridae

Correct answer: 4. Filoviridae

Explanation: Ans. is 'd' i.e., Filoviridae * Ebolavirus and Marburg virus belong to filoviridae.DNA virusesPoxviridaeVariola, vaccinia, cowpox, monkeypox, tanapox, molluscum contagiosumHerpesviridaeHSV-1, HSV-2, varicella-zoster, EBV, CMV, HTLV-1, RK-virusAdenovirideAdenovirusParvoviridaeParvovirus, Adenosatellovirus, DensovirusPapovaviridaePapilloma \4rus (HPV), PolyomavirusHepadnaviridaeHepatitis-B virus RNA VirusesPicornaviridaePoliovirus, Coxsackievirus, Echovirus, Enterovirus, Rhinovirus, Hepatitis A virusCaliciviridaeNorwalk virus, Hepatitis E virusTogaviridaeRubella virus, Eastern equine encephalitis virus, Western equine encephalitis virusFlaviviridaeYellow fever virus, Dengue virus, St. Louis encephalitis virus, West nile virus, Hepatitis C virus, Hepatitis G virusCoronaviridaeCoronavirusesRhabdoviridaeRabies virus, Vesicular stomatitis virusFiloviridaeMarburg virus, Ebola virusParamyxoviridaeParainfluenza virus, Respiratory syncytial virus, Newcastle disease virus, Mumps virus, Rubeola (measles) virusOrthomyxoviridaeInfluenza virus